All of the following are indicators of air pollution except
1. CO
2. SO2
3. Soiling index
4. Smoking index

Correct answer: 4. Smoking index

Explanation: Soiling index or smoke index is used to monitor air pollution. Best indicators of air pollution are sulfur dioxide, smoke index, grit and dust measurement, coefficient of haze and Air pollution index. Smoking index is measured by multiplying the number of cigarettes smoked per day by the number of years the person has smoked. Park's Textbook of Preventive and Social Medicine, 25th Edition, Pg 796